Anterior wall of inguinal canal is formed by muscles
1. External and internal oblique
2. External, internal and transverse abdominis
3. External oblique and rectus abdominis
4. Internal oblique and transverse abdominins

Correct answer: 1. External and internal oblique

Explanation: INGUINAL CANAL:- Oblique intermuscular passage in the lower part of the anterior abdominal wall. Extends from deep inguinal ring to superficial. Deep ring- oval opening in fascia transversalis.1.25 cm above mid-inguinal point. Superficial ring: triangular gap in external oblique aponeurosis. Length: 4cmDirected downwards forwards and medially. BOUNDARIES:-1. Anterior wall A. To the whole extent: skin superficialfascia and external oblique aponeurosis. B. Lateral one third: internal oblique muscle 2. Posterior wall A. Whole extend fascia transversalis, extraperitoneal tissue, the parietal peritoneum.B. Medial two third: conjoint tendon, reflected part of inguinal ligament. 3. Roof: arched fibres of internal oblique and transversus abdominis.4. Floor: grooved upper surface of inguinal ligament. Structures passing through:-1. Spermatic cord(males) Round ligament of uterus (f)2. Ilioinguinal nerve. {Reference: BDC 6E}